Which of the following nucleus is not involved in Papez circuit?
1. Hippocampus
2. Cingulate gyrus
3. Caudate nucleus
4. Thalamic nuclei

Correct answer: 3. Caudate nucleus

Explanation: The prefrontal lobe forms a closed circuit connection with the thalamus called papez circuit. This circuit is responsible for resting EEG and plays an important role in control and genesis of emotions. Anterior nucleus of thalamus, pre-callosal part of cingulate gyrus, hippocampus, and mammillary bodies of the hypothalamus forms the papez circuit. Ref: guyton and hall textbook of medical physiology 12 edition page number:826,827,828